While discharging a patient of meningitis due to H. influenzae the essential step you will do -
1. EBG
2. Assess development milestones
3. Bilateral evoked auditory response
4. Refer for physiotherapy

Correct answer: 3. Bilateral evoked auditory response

Explanation: Ans. is 'c' i.e., Bilateral evoked auditory response o Nontypable H. influenzae is one of the three most common causes of childhood otitis media.o The other two beingStreptococcus pneumoniae andMoraxella catarrhaliso The diagnosis is made by pneumatic otoscopyAn etiologic diagnosis, although not routinely sought, can be established by tympanocentesis and culture of m iddle-ear fluid.o A diagnosis of otitis media is based on theDetection by pneumonic otoscopy of fluid in the middle ear andBilateral evoked auditory response